Chemoprophylaxsis is..................... prevention -
1. Primordial
2. Primary
3. Secondary
4. Tertiary

Correct answer: 2. Primary

Explanation: Ans. is 'b' i.e., Primary